True about pioglitazone are all except:
1. Metabolized in the liver by CYP3A4
2. Selective agonist for the nuclear peroxisome profilerator activated receptor gamma
3. It causes transcription of gene for carbohydrate and fat metabolism in the absence of insulin
4. It should be avoided in a patient with cardio-vascular disease

Correct answer: 3. It causes transcription of gene for carbohydrate and fat metabolism in the absence of insulin

Explanation: Pioglitazone cause activation of genes regulating fatty acid metabolism and lipogenesis in adipose tissue contributes to the insulin sensitizing action. (REF.Essential of medical pharmacology K D TRIPATHI 6 Edition, Page No - 270)